A pregnant uterus is an example of:
1. Metaplasia
2. Dysplasia
3. Atrophy
4. Hypertrophy

Correct answer: 4. Hypertrophy

Explanation: Ans. (d) HypertrophyRef: Robbing pathology 9th ed. /34* Hypertrophy refers to an increase in the size of cells,that results in an increase in the size of the affected organ.* The most common stimulus for hypertrophy of muscle is increased workload.* A gravid uterus is an example of hypertrophy and hyperplasia both but mainly hypertrophy.* Robbin's 9th ed. /34 states: "The massive physiologic growth of the uterus duringpregnancy is a good example of hormone-induced enlargement of an organ that results mainly from hypertrophy of muscle fibers"* Breast enlargement at puberty and at pregnancy is also an example of hypertrophy and hyperplasia both.